Most common organs involved in the wagners granulomatosis are
1. Skin and nose
2. Lung and kidney
3. Heart and kidney
4. Kidney and nervous system

Correct answer: 2. Lung and kidney

Explanation: Refer robbins 9/e p511 Granulomatosis with polyangiitis (formerly called Wegener's) is a rare disease of uncertain cause that can affect people of all ages. It is characterized by inflammation in various tissues, including blood vessels (vasculitis), but primarily parts of the respiratory tract and the kidneys. The areas most commonly affected by GPA include the sinuses, lungs, and kidneys, but any site can be affected